Amphotericin B is given for what etiology
1. Fungal
2. Viral
3. Bacterial
4. Rickettsial

Correct answer: 1. Fungal